Paraneoplastic syndrome not seen in renal cell cancer is?
1. Acanthosis nigricans
2. Amyloidosis
3. Polycythemia
4. Hypertention

Correct answer: 1. Acanthosis nigricans

Explanation: A number of paraneoplastic syndromes due to ectopic hormone production by the renal cell carcinoma have been described. These include Polycythaemia(by erythropoietin), Hypercalcaemia(by parathyroid hormone and prostaglandins), Hypertension(by renin), effects of feminisation or masculinisation(by gonadotropins), Cushing's syndrome(by glucocorticoids), Eosinophilia, Leukemoid reactions, and amyloidosis. From Pathologic basis of disease Robbins, South Asian edition, pg no:955; Textbook of pathology Harsh Mohan,7th edition, pg no:683